Which of the following is true about Anaplasia?
1. Loss of cohesion between cells
2. Loss of differentiation
3. Change of epithelium type
4. Benign and fully reversible

Correct answer: 2. Loss of differentiation

Explanation: ANAPLASIA-It is the hallmark feature of malignant transformation. Metaplasia Change of epithelium types Benign & fully reversible Metaplasia | Dysplasia | Anaplasia Metastasis is hallmark feature of malignancy. Anaplasia is associated with many other morphological changes: Pleomorphism Abnormal nuclear pathology Mitoses Loss of polarity Areas of ischemic necrosis can be seen. When dysplastic changes are marked & involve full thickness of epithelium, but lesion does not penetrate B.M, it is considered CARCINOMA IN SITU. Once the T0 cells invade B.M, T0 is said to be INVASIVE. Dysplasia may be a precursor to malignant transformation, it does not always progress to cancer.